Which of the following is not eugenol containing cement:
1. Roth's sealer
2. Wach's cement
3. Tubliseal
4. Sealapex

Correct answer: 4. Sealapex

Explanation: EWT (Extended Working Time), Roth's sealer, Tubliseal, Wach's cement, MCS (Medicated canal sealer) and Nogenot are different modifications of ZOE cements.
CRCS (Calciobiotic root canal seater), Seatapex, Life, Apexit, Imbiseat, Vitapex are calcium hydroxide sealers.
Diaket and AH-26 are examples of plastic and resin cement. Ketac-endo is GIC cement developed for endodontics.
AH-26 is an epoxy resin containing a non-toxic hardener. Its radiopacity is imparted to it by bismuth oxide. It has strong adhesive properties and contracts slightly while hardening.